Uricosuric drug among these is :
1. Probenecid
2. Colchicine
3. Allopurinol
4. All of these

Correct answer: 1. Probenecid